ContinouCo murmur is found in all, except
1. Mitral stenosis with mitral regurgitation
2. Patent ductus arteriosus
3. Rupture of sinus of valsalva
4. Systemic arteriovenous fistula

Correct answer: 1. Mitral stenosis with mitral regurgitation

Explanation: Ref Harrison 19 th ed pg 1449 The classic example of a continuous murmur is that associated with a PDA, which usually is heard in the second or third interspace at a slight distance from the sternal border. Other causes of a continuous murmur include a ruptured sinus of Valsalva aneurysm with creation of an aortic-right atrial or right ventricular fistula, a cor- onary or great vessel arteriovenous fistula, and an arteriovenous fistula constructed to provide dialysis access